Which of the following are referred to as 'Ivory towers of Disease'
1. Small health centres
2. Large hospitals
3. Private practitioners
4. Health insurance companies

Correct answer: 2. Large hospitals

Explanation: Hospitals are known as 'Ivory Tower of Disease', as they exist in splendid isolation in the community, absorb vast proportion (50-80%) of the health budget, are not people-oriented, are inflexible in procedures and styles and treatment is expensive Ref: Park 25th edition Pgno : 55